Chemotactic complement component are
1. C3a
2. C5a
3. Both
4. C3b

Correct answer: 2. C5a

Explanation: ref Robbins 8/e p64 ;7/ep56;9/e p77.